The preferred test for confirming H. pylori eradication is:
1. Urease breath test
2. Culture
3. Serological test
4. Biopsy urease test

Correct answer: 1. Urease breath test

Explanation: Answer is A (Urease Breath Test) The test of choice for documenting eradication is urease breath test. Assessment of success of Treatment with Eradication of H. Pylori should be done at least 4 weeks after completion of anti H. Pylori therapy. Non-invasive tests are typically preferred for assessment of Eradication. The test of choice for documenting eradication is urease breath test. Urease breath test detects H. pylori infection by 'bacterial urease activity' and remains positive till the bacteria has not been eradicated with treatment. Thus urease breath test becomes negative only aftereradication of organism following treatment and not with chronic infection.